Drugs used in prophylaxis of migraine are all except?
1. Propanolol
2. Flunarizine
3. Topiramate
4. Levetiracetam

Correct answer: 4. Levetiracetam

Explanation: Drugs used in prophylaxis of migraine are 1.b blockers 2.Tricyclic antidepressants 3.Ca channel blockers 4.anticonvulsants Levetiracetam is used for treating epilepsy- especially partial seizures ESSENTIALS OF MEDICAL PHARMACOLOGY:KD TRIPATHI;8TH EDITION